Dermatome in the thumb and index finger region is supplied by
1. C5,C6
2. C6,C7
3. C7,C8
4. C8,T1

Correct answer: 2. C6,C7

Explanation: -Thumb C6, index finger -C7 -reference: Textbook of anatomy ,Upper limb and thorax,Vishram Singh, 2nd edition, page no.85,86